All of the following muscles are derived from 6th brachial arch EXCEPT:
1. Lateral cricoarytenoid
2. Posterior cricoarytenoid
3. Interarytenoid
4. Cricothyroid

Correct answer: 4. Cricothyroid

Explanation: Ans. (d) CricothyroidRef: LB. Singh 9th ed. /116* Cricothyroid muscle is derived from fourth branchial arch. It is the only intrinsic laryngeal muscle not derived from 6th branchial arch* Nerve supply: Superior laryngeal nerve